Not true about Screw feed technique is
1. 80% volume reduction
2. Pathological waste are removed
3. Weight is decreased by 20-30%
4. Based on non-burn thermal treatment

Correct answer: 2. Pathological waste are removed

Explanation: SCREW-FEED TECHNOLOGY: Principle: Non-burn dry thermal process Process: Shredding of waste Heating in a rotating auger Reduction in waste: Reduction in weight: 20-35% Reduction in volume: 80% Useful for wastes: Infectious waste Sharps Not useful for wastes: Pathological waste Cytotoxic waste Radioactive waste Ref: Park 25th edition Pgno: 828